Cell to cell permeability occurs through
1. Occludin
2. Zona adherens
3. Connexins
4. Zonulin

Correct answer: 3. Connexins

Explanation: Ans. (c) Connexins(Ref: Robbins 9th/ pg 11)*Communicating junctions (Gap junctions): mediate the passage of chemical or electrical signals from one cell to another.*Consists of pores called connexions and formed by hexamers of transmembrane proteins called connexins